The Neurotransmitter, non adrenaline, adrenaline and dopamine act through which of the following receptor
1. Single pass transmembrane receptor
2. Four pass transmembrane receptor
3. Seven pass transmembrane receptor
4. Ligand gated receptor

Correct answer: 3. Seven pass transmembrane receptor

Explanation: Neurotransmitter act through G-protein couple receptor which are known as seven pass transmembrane receptor, heptahelical receptor Ref-Goodman and Gillman 12/e p52,53